Interferon interferes with replication of virus at the time of:
1. Protein synthesis
2. DNA/RNA replication
3. When virus enters the cell
4. Uncoating of the virus protein capsule

Correct answer: 1. Protein synthesis

Explanation: Interferons are proteins that can induce a nonspecific resistance to viral infection by several mechanisms, including the inhibition of protein synthesis, inactivation of viral RNA, and enhancement of phagocytic and cytotoxic mechanisms.